Which is the earliest symptom of benign hypertrophy of prostate -
1. Frequency
2. Haematuria
3. Incontinence
4. Strangury

Correct answer: 1. Frequency